All the metacarpals of the hand are endowed with one epiphysis each which is usually located near the head of the metacarpal except
1. Index metacarpal
2. Ring metacarpal
3. Thumb metacarpal
4. Middle finger metacarpal

Correct answer: 3. Thumb metacarpal

Explanation: All the metacarpals in the hand have one epiphysis per bone which is in the head of the bone except the thumb, where it is in the base